Venous drainage from neurohypophysis is routed through all of the following except -
1. Portal vessels to adenohypophysis
2. Superior hypophyseal veins to ventricular tanycytes
3. Inferior hypophyseal veins to dural venous sinuses
4. Capillaries to median eminence and hypothalamus

Correct answer: 2. Superior hypophyseal veins to ventricular tanycytes

Explanation: There are three routes for venous drainage of neurohypophysis :-

To adenohypophysis via long and short portal vessels.
Into dural venous sinuses via inferior hypophyseal veins.
To hypothalamus via capillaries passing to median eminence.